Injection of hypertonic saline in which region of hypothalamus produces intense thirst:
1. Posterior region
2. Paraventricular
3. Preoptic
4. Supraoptic

Correct answer: 3. Preoptic

Explanation: C i.e. Preoptic